Peliosis hepatis is caused by all except
1. Analgesics
2. Anabolic steroids
3. OC pills
4. Danazol

Correct answer: 1. Analgesics

Explanation: Peliosis Hepatis Although sinusoidal dilatation can occur secondary to many liver diseases, peliosis hepatis is an uncommon condition of primary sinusoidal dilatation that results in blockage of blood outflow and may result in massive intraperitoneal haemorrhage. Although exact etiology is not known, peliosis hepatis and another related condition, bacillary angiomatosis (page 413), have been found to occur in HIV-infected patients whose CD4+ T cell counts fall below 100/ml. Opportunistic infection with Bartonella henselae in poor hygienic conditions in these cases results in blood-filled cysts in liver partly lined by endothelial cells and having mixed inflammatory cells in a fibromyxoid background. Etiologic association of peliosis hepatis with consumption of anabolic steroids and oral contraceptives has also been suggested and is self-limiting with withdrawal of the offending agent. TEXTBOOK OF PATHOLOGY 6TH EDITION HARSH MOHAN PAGE NO:605